Administrative unit of ICDS project in rural area is:
1. Panchayat
2. Sub centre
3. PHC
4. Community development block

Correct answer: 4. Community development block

Explanation: Administrative units for ICDS are as follows: Rural area: Community development block Tribal area: Tribal development block Urban area: Group of slums Ref: Mastering Community medicine by Asif Khan, Jaypee publications page-192.